Which compound shifts the oxygen dissociation curve to the right?
1. 1-Phosphoglycerate
2. 2,3 DPG
3. 1,3 DPG
4. Gyceraldehyde

Correct answer: 2. 2,3 DPG

Explanation: Three important conditions affect the oxygen-hemoglobin dissociation curve: the pH, the temperature, and the concentration of 2,3-diphosphoglycerate(DPG; 2,3-DPG). A rise in temperature or a fall in pH shifts the curve to the right. When the curve is shifted in this direction, a higher pO2 is required for hemoglobin to bind a given amount of O2. Conversely, a fall in temperature or a rise in pH shifts the curve to the left, and a lower pO2 is required to bind a given amount of O2. 
2,3-DPG is very plentiful in red cells. It is formed from 3-phosphoglyceraldehyde, which is a product of glycolysis via the Embden-Meyerhof pathway. It is a highly charged anion that binds to the β chains of deoxyhemoglobin. One mole of deoxyhemoglobin binds 1 mol of 2,3-DPG. In effect,